Early epiphyseal closure is seen with _________
1. LH
2. FSH
3. Estrogen
4. Progesterone

Correct answer: 3. Estrogen

Explanation: The growth velocity decreases and may even be zero after epiphyseal fusion, that is, after growth plate closure in late puberty. Precocious puberty (PP) is a known cause of short stature after earlier puberty due to premature closure of growth plates in long bones Precocious puberty may be due to increased estrogen . Ref : Nelson paediatrics Chapter : Growth and deve